Graft Survival in first 48 hours depends on
1. Plasma imbibition
2. Ingrowth of capillaries in donor tissue
3. Amount of Saline in graft
4. Connection between donor and recipient capillaries.

Correct answer: 1. Plasma imbibition

Explanation: Ans. is 'a' ie. Plasma imbibition (Ref. Sabiston, 18/e p2135 (17/e p2185); Schwartz 9/e p165))" Skin grafts to survive in the recipient bed, have to become revascularized. This takes place in three distinct phases":Imbibition: refers to absorption of nutrients into the graft, which serves to feed the graft for the first 24 to 48 hrs.Inosculation: is the process whereby donor and recipient capillaries become aligned. During the first two phases, the graft becomes adhered to the recipient bed by fibrous deposition at the interface.Revascularization : is completed by differentiation of the connecting vessels into arterioles and venules.